DNA amplification is done in by all, except:
1. Polymerase chain reaction
2. Nucleic Acid Sequence Based Amplification
3. Ligase chain reaction
4. DNA sequencing

Correct answer: 4. DNA sequencing

Explanation: Ans. DNA sequencing